An organism grown on agar shows green colored colonies, likely organism is -
1. Staphylococcus
2. Streptococcus
3. Pseudomonas
4. E. coli

Correct answer: 3. Pseudomonas

Explanation: “The optimum temperature for growth of Pseudomonas aeruginosa is 37 degree and is able to grow at temperature as high as 42° C ‘Essenals of Microbiology' Pseudomonas aeruginosa

 Morphology ÿ Gram-negative bacilli ÿ Mole by polar flagellum ÿNon capsulated but many strains have mucoid slim layer especially the organisms which are isolated from cysc fibrosis patient.
 Culture ÿObligate aerobe ÿ Colonies emit a distance, musty, mawkish, earthy or sweet grape-like odour or corn tacolike odour.

ÿ Cetrimide agar is a selective media. ÿ Pseudomonas aeruginosa produces a number of pigments.
The production of these pigments accounts for the colour of colonies. ÿ Pyocyanin is produced only by P. aeruginosa and it i